A 1-month old baby presents with frequent vomiting and failure to thrive. There are features of moderate dehydration. Blood sodium is 122 mEq/1 and potassium is 6.1 mEq/1. The most likely diagnosis is:
1. 11 -bhydroxylase deficiency
2. Criterman syndrome
3. Bartter syndrome
4. 21 -hydroxylase deficiency

Correct answer: 4. 21 -hydroxylase deficiency

Explanation: Congenital adrenal hyperplasia due to 21-hydroxylase deficiency (21-OH CAH), in all its forms, accounts for over 95% of diagnosed cases of congenital adrenal hyperplasia. Hence "CAH" in most contexts refers to 21-hydroxylase deficiency. Ref: Kliegman, Behrman, Jenson, Stanton (2008), Chapter 577, "Congenital Adrenal Hyperplasia", In the book, "Nelson's Textbook of Pediatrics", Volume 2, 18th Edition, New Delhi, Page 2360; Harrison's Internal Medicine, 17th Edition, Page 2267.